Regulated bone growth through puberty occurs through
1. Endophyseal plates
2. Ectophyeseal plates
3. Epiphyseal plates
4. Chondrophyseal plates

Correct answer: 3. Epiphyseal plates